Which of the following statements about carcinogenesis is false ?
1. Asbestos exposure increases the incidence of lung cancer
2. Papilloma viruses produce tumours in animals but not in humans
3. Exposure to aniline dyes predisposes to cancer of the urinary bladder d
4. Hepatitis B virus has been implicated in hepatocellular carcinoma

Correct answer: 2. Papilloma viruses produce tumours in animals but not in humans

Explanation: human papillomavirus (HPV). Most HPV infections cause no symptoms and resolve spontaneously. In some, they persist and result in warts or precancerous lesions. The precancerous lesions increase the risk of cancer of the cervix, vulva, vagina, penis, anus, mouth, or throat. Nearly all cervical cancer is due to HPV with two types, HPV16 and HPV18, accounting for 70% of cases. Between 60 and 90% of the other cancers are also linked to HPV. HPV6 and HPV11 are common causes of genital warts and respiratory papillomatosis. HPV infection is caused by a human papillomavirus, a DNA virus from the papillomavirus family, of which over 150 types are known. More than 40 types are transmitted through sexual contact and infect the anus and genitals. Risk factors for persistent HPV infections include early age of first sexual intercourse, multiple partners, smoking, and poor immune function. HPV is typically spread by sustained direct skin-to-skin contact with vaginal and anal sex being the most common methods. Occasionally, it can spread from a mother to her baby during pregnancy. It does not spread common items like toilet seats. People can become infected with more than one type of HPV. HPV only affects humans.